Proteins provide _______ Kcal energy per gram
1. 2
2. 4
3. 6
4. 9

Correct answer: 2. 4

Explanation: Carbohydrates provide 4 kcal of energy per gram. Proteins provide 4 kcal energy per gram. Fats provide 9 kcal of energy per gram. Reference: Paediatrics; O.P Ghai; 8th edition; Page no: 88,89